All of the following can cause pyometra except:
1. Cervical cancer
2. Uterine cancer
3. Genital TB
4. Septate uterus

Correct answer: 4. Septate uterus

Explanation: Ans. is 'd' i.e., Septate uterus* Pyometra is a rare condition characterized by the accumulation of pus within the uterine cavity. Pyometra is most frequently seen in postmenopausal women but it can affect younger women as well. Usually there is some underlying condition involved.* Causes of pyometra:a) Cervical cancerb) Uterine cancerc) Cervical atresiad) Cervical stenosise) Genital TB* Pyometra often doesn't cause any symptoms and can be found during an ultrasonography of pelvis. Signs and symptoms that may be experienced by affected women include:i) Purulent vaginal discharge with traces of bloodii) Postmenopausal bleedingiii) Lower abdominal painiv) Symmetrical enlargement of the uterusv) Nausea and vomitingvi) Diarrheavii) Pyrexia (rarely)